A one year old boy presented with hepatosplenomegaly and delayed milestones. The liver biopsy and bone marrow biopsy revealed presence of histiocytes with PAS-positive Diastase-resistant material in the cytoplasm. Electron-microscopic examination of these histiocytes is most likely to reveal the presence of-
1. Birbeck granules in the cytoplasm
2. Myelin figures in the cytoplasm
3. Parallel rays of tubular structures in lysosomes
4. Electron dense deposit in the mitochondria

Correct answer: 3. Parallel rays of tubular structures in lysosomes